Test done for mycobacterium tuberculosis by whole blood is :
1. BACTEC
2. IGRA
3. GeneXpert
4. Culture

Correct answer: 2. IGRA

Explanation: IGRA is interferon gamma release assay .In this test,we target up with the artificial intake of mycobacterium like ESAT-6,CFP-10,TB-7.7, by adding the sample blood(sensitized ) having T-cells which release interferon gamma and its activity can be measured. It is highly specific and there are no positive results.